Which one of the following is NOT a transporter or binding protein:
1. Erythropoietin
2. Ceruloplasmin
3. Lactoferrin
4. Transferrin

Correct answer: 1. Erythropoietin

Explanation: Ans. A i.e. ErythropoietinErythropoietin causes formation and release of new RBCs into circulation